A 2 year old is brought to pediatrics OPD with complains recurrent abdominal pain and similar episodes have been reported in recent past as well. The mother complains of the child licking bright toys and paint on walls. Blood investigation reveal low Hb and MCV.PBF is done which shows the following findings: Which of the following findings cannot be expected in the above child?
1. Constipation
2. Encephalopathy
3. Diarrhea
4. Bright lines in metaphyseal region.

Correct answer: 3. Diarrhea

Explanation: Lead poisoning is the diagnosis from the following points: Pain abdomen Anemia PBF- basophilic stippling Licking of bright toys or wall paint is s/o lead intake. Chronic lead poisoning is having following clinical features: Fatigue Depression confusion episodic abdominal pain peripheral neuropathy Gray lead lines in gums anemia with basophilic stippling of red blood cells. The treatment is chelation therapy with ethylenediamine tetraacetic acid (EDTA), BAL or penicillamine. Behavioral modification Removal of source of exposure